True about SLE is-
1. Autoimmune disease
2. Childhood SLE had poor prognosis than adult SLE
3. Presence of ANA
4. All are true

Correct answer: 4. All are true

Explanation: Ans. is 'd' i.e., All are true SLE (Systemic Lupus Erythematosus) Autoimmune disorder Inflammation of the blood vessel Childhood SLE had poor prognosis than adult SLE Hallmark of SLE is the presence of antinuclear antibody (ANA) More common in the female. Malar rash in pathognomic of SLE Non - erosive arthritis Nephritis Encephalopathy Pleuritis f Pericarditis Cytopenia